The pins in an amalgam restorative serve to:
1. Increase strength
2. Increase retention
3. Increase resistance of fracture
4. All the above

Correct answer: 2. Increase retention